A major difference between total-etch and selfetching primer dentin bonding systems include all of the following except _____.
1. The time necessary to apply the material(s).
2. The amount of smear layer removed.
3. The bond strengths to enamel.
4. The need for wet bonding.

Correct answer: 1. The time necessary to apply the material(s).

Explanation: Self-etch dentin bonding systems differ from total-etch dentin bonding systems by removing less of the smear layer (they use a less potent acid), creating a weaker bond to enamel (especially nonprepared enamel), and not requiring wet bonding that may be necessary for some of the total-etch systems. Even though fewer actual materials may be needed with some of the self-etch systems, they need to be applied in multiple coats and thus the time necessary to apply the materials is similar for both systems.